A 7 years child presents with unilateral nasal obstruction with foul-smelling nasal discharge. The diagnosis is
1. Foreign body
2. Rhinophyma
3. Rhinosporidiosis
4. Angiofibroma

Correct answer: 1. Foreign body

Explanation: Unilateral foul smelling discharge in a child is pathognomic of a foreign body.Ref: PL Dhingra, Diseases of Ear, Nose & Throat, 7th edition, pg no. 181